Bacteria acquire characteristics by all of the following except:
1. Through plasmids
2. Incorporating part of host DNA
3. Through bacteriophages
4. Through conjugation

Correct answer: 2. Incorporating part of host DNA